“Anhedonia” seen in schizophrenia is linked to which of the following neurotransmitter abnormality?
1. Serotonin
2. Norepinephrine
3. Glutamate
4. GABA

Correct answer: 2. Norepinephrine

Explanation: Norepinephrine
(Ref : Kaplan Psychiatry Pg 290)